Os trigonum is which type of epiphysis ?
1. Aberrant
2. Pressure
3. Atavistic
4. Traction

Correct answer: 3. Atavistic

Explanation: C i.e. Atavistic